Which of the following carcinoma most frequently metastasize to brain
1. Small cell carcinoma of lung
2. Prostate cancer
3. Rectal cancer
4. Endometrial cancer

Correct answer: 1. Small cell carcinoma of lung

Explanation: Ref Harrison 17/e p2458; Robbins 8/e p1339;7/e p1410;9/e p1315 Small cell carcinoma of lung most commonly metastasize to brain.it account for about 40% of brain metastasis Other tumors metastasizing to brain are carcinomas of .breast .melanoma .kidney .GIT